A 75-year-old patient clutches his chest and falls down. A physician arrives on the scene and finds the patient unresponsive with no breathing efforts. What is the first thing to be done by the physician?
1. Call for help
2. Clear patient airway
3. Check peripheral pulse
4. Chest Compressions

Correct answer: 1. Call for help

Explanation: Evaluation and Initiation of CPR -Check for response -Call for help or ask someone to call local emergency number -If aspiration or airway obstruction is suspected then Hemlich maneuver should be performed to dislodge obstructing body. -Check for pulse(no longer than 10 sec) -Assess breathing -Chest compressions should be initiated without delay. Note : Cpr protocol C-A-B